Rank the food items in descending order of their energy yield per 100 grams Carbohydrate – A, Fats – B, Alcohol – C
1. B C A
2. A B C
3. C A B
4. C B A

Correct answer: 1. B C A